River blindness is caused by
1. Onchocerca
2. Loa loa
3. Ascaris
4. Brugia malayi

Correct answer: 1. Onchocerca

Explanation: Onchocerciasis is also known as River blindness and Robles disease. REF : paniker book of parasitology 8th Ed.